NOT a content of carpal tunnel
1. Flexor pollicis longus
2. Flexor digitorum profundus
3. Ulnar nerve
4. Median nerve

Correct answer: 3. Ulnar nerve

Explanation: Carpal tunnel Contents - 1. 4 tendons of Flexor Digitorum Profundus (FDP) 2. 4 tendons of Flexor Digitorum Superficialis (FDS) 3. 4 tendons of Flexor Pollicis Longus (FPL) 4. Median nerve Structure passing anterior to carpal tunnel: 1. Ulnar nerve 2. Ulnar artery 3. Palmaris longus tendon. Structure embedded into flexor retinaculum Flexor carpi radialis tendon.